What is the most probable portal of entry of an Aspergillus -
1. Puncture wound
2. Blood
3. Lungs
4. Gastrointestinal tract

Correct answer: 3. Lungs